A patient with acute pancreatitis develops sudden onset breathlessness with a CVP<15 mm Hg. The chest X-ray shows bilateral infiltrates. The possible diagnosis is:
1. ARDS
2. Myocardial infarction
3. Congestive left heart failure
4. Pulmonary embolism

Correct answer: 1. ARDS

Explanation: Ans. (a) ARDSRef: Internet Sources* Normal CVP <5mmHg* In pancreatitis the MC complication is ARDS - Which may develop Bilateral Lung infiltrates. Because of Pulmonary edema - CVP rises to some level.